Conn's syndrome is characterized by -
1. Hyperinsulinism
2. Hyperthyroidism
3. Hypoadrenalism
4. Hyperaldosteronism

Correct answer: 4. Hyperaldosteronism

Explanation: Conn syndrome refers specifically to primary hyperaldosteronism due to the presence of an adrenal aldosteronoma (aldosterone-secreting benign adrenal neoplasm or aldosterone producing adenoma (APA)). It is characterised by low renin and high aldosterone levels. Reference : page 780 Davidson's Principles and practice of Medicine 22nd edition